Angle made by tympanic membrane with floor of the meatus?
1. 35 degrees
2. 55 degrees
3. 75 degrees
4. 90 degrees

Correct answer: 2. 55 degrees

Explanation: Ans. is 'b' i.e., 55 degrees * The length of the anterior wall and floor is more than that of the posterior wall and roof because the tympanic membrane is set at an angle of 55 degrees with its floor.